The ribozyme was the first recognized "molecular machine." Which of the following is TRUE?
1. Peptidyl transferases activity
2. Cut DNA at specific site
3. Participate in DNA synthesis
4. GTPase

Correct answer: 1. Peptidyl transferases activity

Explanation: Ribozymes are RNA molecules with catalytic activity. These generally involve transesterification reactions, and most are concerned with RNA metabolism (splicing and endoribonuclease). Recently, a rRNA component has been implicated in hydrolyzing an aminoacyl ester and thus to play a central role in peptide bond function (peptidyl transferases activity). Ref: Weil P. (2011). Chapter 36. RNA Synthesis, Processing, & Modification. In D.A. Bender, K.M. Botham, P.A. Weil, P.J. Kennelly, R.K. Murray, V.W. Rodwell (Eds), Harper's Illustrated Biochemistry, 29e